ACE Inhibitors can cause all except
1. Persistent cough
2. Taste change
3. Angioedema
4. Ankle edema

Correct answer: 4. Ankle edema

Explanation: Refer kDT 6/e p484 The CAPTOPRIL mnemonic can be used to remember the side effects of ACE inhibitors: cough, angioedema, potassium changes, taste change, hyp-O-tension, pregnancy changes, rash, increased renin, and lower angiotensin II. Another side effect is hyperkalemia.